Which of the following anticoagulants doesnot require routine laboratory coagulant profile monitoring?
1. Warfarin
2. Dabigatran
3. Argatroban
4. Heparin

Correct answer: 2. Dabigatran

Explanation: Dabigatran is an oral anticoagulant classified as a direct factor Xa inhibitor that does not require Coagulant profile Monitoring. When given in fixed doses, Dabigatran produces such a predictable anticoagulant response that routine coagulation monitoring is unnecessary. Heparin and Warfarin require close monitoring because of their narrow therapeutic index and increased risk for bleeding. Argatroban is a synthetic parenteral direct thrombin inhibitor that requires routine laboratory monitoring of their therapeutic effect while balancing the risk of bleeding with that of clinical efficacy. Anticoagulant Not requiring Coagulant Profile Monitoring: Parenteral Indirect Thrombin Inhibitors: Low molecule Weight Heparin (LMWH) (Enoxaparin, Dalteparin, Nadroparin, Tinzaparin, Ceoparin, Reviparin, Ardeparin, Parnaparin and Pemiparin) Indirect Factor Xa Inhibitors: Desirudin (Exception) Oral Direct Thrombin Inhibitors Dabigatran Direct Factor Xa Inhibitors Rivoraxaban Apixaban Betrixaban Edoxaban (Japan) Desirudin is a parenteral Direct thrombin Inhibitor given subcutaneously in low doses and doesnot require monitoring. Anticoagulants Requiring Caogulant Profile Monitoring: Parenteral: Parenteral Direct Thrombin Inhibitors Hirudin derivatives (Lepirudin) Hirudin analogues (Bivarudin) Argatroban Parenteral Indirect Thrombin Inhibitors Heparin Oral Coumarin derivatives (Vitamin K Antagonist) Warfarin Indanediones (Vitamin K Antagonists) Phenindone Ref: KDT 7th edition